Organophosphate inhibits -
1. Anionic site ofAchEs
2. Esteratic site ofAchEs
3. Ach
4. None

Correct answer: 2. Esteratic site ofAchEs

Explanation: Ans. is 'b' i.e., Esteratic site of AchEs Acetylcholinesterase has two sites: i) Catalytic or esteratic site -9 Active site ii) Anionic site It is quite obvious that to inhibit the action of acetylcholinesterase the active site has to be inhibited and it is esteratic site: i) Organophosphates phosphorylate esteratic site. Carbamates carbomylate esteratic site.